Hyperscretory granules seen in with lungCa ?
1. Adeno Ca
2. Small cell Ca
3. Large cell Ca
4. Bronchoalveolar Ca

Correct answer: 2. Small cell Ca

Explanation: Ans. is 'b' i.e., Small cell Ca Small cell carcinoma of lung (oat cell carcinoma) o Small cell carcinoma have a strong relationship to cigarrete smoking (also squamous cell carcinoma). o They occur both in major bronchi (central) and in the periphery of lung. o This highly malignant tumor has a distinctive cell type. o The epithelial cells have following features - Scant cytoplasm Finely granular nuclear chromatin (salt and pepper pattern). /// defined cell borders Small --> Smaller than small resting lymphocytes High mitotic count Absent or incospicuous nucleoli o Necrosis is common and extensive. o Azzopardi effect (Basophilic staining of vascular walls) is frequently present. o Basophilic staining of vascular walls due to encrustation by DNA from necrotic tumor cells is frequently present. o It contains neurosecretory granules. These granules are similar to those found in the neuroendocrine argentaffin (kulchitsky) cells present along the bronchial epithelium of fetus and neonate. This suggests derivation of this tumor from neuroendocrine progenitor cells of the lining bronchial epithelium. o It also contains - Polypeptide hormore e.g. PTH like peptide. Neuroendocrine markers --> chromogranin, Synaptophysin, Leu7.